In a 30 year old man which of the following is the most likely organism causing infection of the epididymis -
1. E.coli
2. Gonococci
3. Chlamydia
4. Ureaplasma ureolyticum

Correct answer: 3. Chlamydia

Explanation: Ans. is 'c' i.e., Chlamydia [Ref: Harrison 18th/ep. 1098-1099\ o Inflammation of the epididymis is known as epididymitis, o Epididymitis occurs more frequently among late adolescents, but may also occur in younger boys who deny sexual activity. o Among sexually active males. chlamydia is the most common microbial ascent followed by N.eonorrhoea E.coli and virus. The organism that less commonly causes epididymitis includes, ureaplasma, mycobacterium and cytomegalovirus or cryptococcus in a patient with HIV infection. Infectious epididymitis in prepubertal boys and adolescents who are not sexually active may be caused by- mycoplasma pneumoniae enteroviruses or adenoviruses. Also know o The first line treatment for epididymis includes "ceftriaxone " plus "doxycycline".